Which one of the following inhalational anesthetics is most likely to cause fluoride ion nephrotoxicity
1. Methoxyflurane
2. Enflurane
3. Halothane
4. Isoflurane

Correct answer: 1. Methoxyflurane

Explanation: Methoxyflurane causes dose-related nephrotoxicity because of the inorganic fluoride that resulted from the metabolism of this anaesthetic.Basics of Anaesthesia 7e pg 86